In microcornea, diameter of cornea is less than:
1. 9 mm
2. 10 mm
3. 11 mm
4. 8 mm

Correct answer: 2. 10 mm

Explanation: Ans. 10 mm